Alopecia areata is not associated with which of the folllowing condition?
1. Exclamation sign
2. Atopy
3. Pitting nails
4. Geographical tongue

Correct answer: 4. Geographical tongue

Explanation: Alopecia areata may be associated with atopy, downs syndrome, vitiligo, pernicious anemia, myxedema , diabetes or hypertension in the family. Short,1-2 mm fractured hairs can frequently be seen at the active margins of alopecia areata. These hairs are described as exclamation mark hairs because these characteristic hairs fracture at their distal end and taper proximally to a pencil point giving them appearance of an exclamation mark . nail pitting is a common finding in alopecia areata . Ref Harrison20th edition pg 1236